Which of the following is not an amino steroid derivative
1. Vecuronium
2. Alcuronium
3. Pancuronium
4. Pipecuronium

Correct answer: 2. Alcuronium

Explanation: Alcuronium chloride is a neuromuscular blocking agent, alternatively referred to as a skeletal muscle relaxant.
It is a semi-synthetic substance prepared from C-toxiferine I, a bis-quaternary alkaloid obtained from Strychnos toxifera.